Crescents are derived from
1. Mesangium + fibrin + macrophage
2. Visceral epithelial cells + fibrin + macrophage
3. Parietal epithelial cells + fibrin + macrophages
4. Tubular epithelium + fibrin + macrophages

Correct answer: 3. Parietal epithelial cells + fibrin + macrophages

Explanation: Crescents are feature of RPGN.
They are made up of parietal epithelial cells,
fibrin and monocytcs / Macrophages.